The zinc-oxide eugenol impression paste is used to enhance quality of:
1. Modeling compound impression
2. Reversible hydro-colloid impression
3. Alginate impressions
4. Wax impressions

Correct answer: 1. Modeling compound impression